All of the following are pyrogenic cytokines, except:
1. Interleukin 18 (IL-18)
2. Interleukin 6 (IL-6)
3. Tumor Necrosis Factor (TNF)
4. Interferon a (IFN a)

Correct answer: 1. Interleukin 18 (IL-18)

Explanation: Interleukin 18 is not a pyrogenic cytokine. IL-18, a member of the Il-1 family doesnot appear to be a pyrogenic cytokine- harrison. Pyrogenic Cytokines: Cytokines are small protein that regulate immune, inflammatory and hematopoietic processes Those cytokines that cause fever 'are called as pyrogenic cytokines (formerly called Endogenous pyrogens) The pyrogenic cytokines include IL-1, IL-6, TNF, CNTF and IFNa (IL-18, a member of the IL-1 family doesnot appear to be a pyrogenic cytokine) IL-1 and TNF appear to be the most potent pyrogenic cytokines and induce fever at low doses while higher dose is required to induce fever with IL-6. Other pyrogenic cytokines probably exist but the above constitute the major pyrogenic cytokines Pyrogenic Cytokines: Interleukin-I (IL-1) Interleukin-6 (IL-6) Tumor necrosis Factor (TNF) Interferon-a (IFN- a) Ref: Ananthanarayana 10th edition Pgno: 156